All of the following are the causes of relative polychthemia except -
1. Dehydration
2. Dengue haemorrhagic fever
3. Gaisbock syndrome
4. High altitude

Correct answer: 4. High altitude